All are indicators of malignancy in a mammography except -
1. Nodular cacification
2. Speckled margin
3. Attenuated architecture
4. Irregular mass

Correct answer: 1. Nodular cacification

Explanation: Answer (a) Nodular calcification